All are involved in brainstem death certification under the Transplantation of Human Organs Act, except:
1. The doctor, in-charge of hospital in which the brain-stem death occurred
2. A neurologist or a neurosurgeon, nominated by the in-charge, from the panel.
3. A doctor involved in the transplantation procedure
4. The doctor treating the person whose brainstem death has occurred

Correct answer: 3. A doctor involved in the transplantation procedure

Explanation: Ans. A doctor involved in the transplantation procedure